Which of the following is test of posterior glenohumeral instability:
1. Fulcrum test
2. Sulcus test
3. Jerk test
4. Crank test

Correct answer: 3. Jerk test

Explanation: Posterior Instability (Adduction and internal rotation force) Jerk (provocative) test Posterior apprehension test Posterior clunk test Push-Pull test Anterior Instability Tests Fulcrum test Crank test Surprise test (most accurate) Jobe relocation test